Which complex of ETC reacts directly with 02 ?
1. I
2. II
3. III
4. IV

Correct answer: 4. IV

Explanation: Ans. is'd' i.e., IV